Markedly inappropriate sensitivity and suspiciousness are clinical features of
1. Antisocial
2. Histrionic
3. Schizoid
4. Paranoid

Correct answer: 4. Paranoid

Explanation: Ans:D-Paranoid Paranoid personality disorder (PPD) is a type of eccentric personality disorderAn individual with paranoid personality behavior is very suspicious of other people. They mistrust the motives of others and believe that others want to harm themSymptoms include:believing that others have hidden motives or are out to harm themdoubting the loyalty of othersbeing hypersensitive to criticismhaving trouble working with othersbeing quick to become angry and hostilebecoming detached or socially isolatedbeing argumentative and defensivehaving trouble seeing their own problemshaving trouble relaxing